Increased risk of cancer is seen in
1. Fibroadenoma of breast
2. Bronchial asthma
3. Chronic ulcerative colitis
4. Leiomyoma of the uterus

Correct answer: 3. Chronic ulcerative colitis

Explanation: Ref Robbins 8/e p276; 9/e p279 Certain non neoplastic disorders _ the chronic atrophic gastric of pernicious Anemia, solar keratosis of skin, chronic ulcerative colitis and leukoplakia of the oral cavity, vulva and penis, have such a well defined association with cancer that they have been termed precancerous condition